Virus most sensitive to inactivation by biocides ?
1. Adenovirus
2. Herpes virus
3. Parvovirus
4. Poliovirus

Correct answer: 2. Herpes virus

Explanation: Ans. is 'b' i.e., Herpes virus Enveloped viruses are most sensitive to inactivation by biocides. Among the given options only Herpesvirus is enveloped virus. Adenovirus, parvovirus and poliovirus (picornavirus) are non-enveloped viruses.